A 14-year-old presents to the OPD since she has not yet menstruated.On examination there is breast development and normal pubic hair growth. Which of the following best describes the normal sequence of pubertal changes in the female?
1. Vertical growth, menarche, thelarche, Pubarche
2. Pubarche,Vertical growth,thelarche, menarche
3. Thelarche, Vertical growth, Pubarche, menarche
4. Thelarche, Pubarche, Vertical growth, menarche

Correct answer: 4. Thelarche, Pubarche, Vertical growth, menarche

Explanation: In girls, pubertal development typically takes place over 4.5 years .Sex steroid production during puberty stimulates development of secondary sex characteristics,growth of long bones which is the reason for vertical growth spurt. * The first sign of puberty is accelerated growth, and breast budding is usually the first recognized pubertal change, followed by the appearance of pubic hair, peak growth velocity, and menarche. Delayed or interrupted puberty No Periods or any secondary sex characteristics by age 13, Have secondary sexual characteristics but not had menarche by age 15 or have not attained menarche 5 or more years since the onset of pubertal development. *Please note: the question can confuse us sometimes. If asked about the overall first event in puberty, then its Accelerated general growth. But if asked the first specific sign of puberty, then breast budding is the answer.